A known patient with renal stone disease developed pathological fractures along with abdominal pain and certain psychiatric symptoms. He should be investigated for ?
1. Polycystic kidney
2. Renal tubular acidosis
3. Hyperparathyroidism
4. Paget's disease of bone

Correct answer: 3. Hyperparathyroidism

Explanation: Ans. is 'c' i.e., Hyperparathyroidism